Child of 9 months, which reflex is most abnormal ?
1. Asymmetric neck reflex
2. Parachute reflex
3. Righting reflex
4. None

Correct answer: 1. Asymmetric neck reflex

Explanation: Ans. is 'a' i.e., Asymmetric neck reflex o Asymmetric tonic neck reflex is prominant between 2nd and 4th months. o Persistence of this reflex beyond the age of 6 - 9 months or a constant tonic neck posture are abnormal and usually indicate spastic cerebral palsy.